Which of the following drugs has been found to increase the survival in locally advanced pancreatic cancer?
1. Doxorubicin
2. Streptozocin
3. Gemcitabine
4. Paclitaxel

Correct answer: 3. Gemcitabine

Explanation: Gemcitabine is currently the standard of care for patients with metastatic pancreatic cancer.